Deep transverse arrest occurs in which type of pelvis:
1. Platypelloid
2. Gynecoid
3. Android
4. Anthropoid

Correct answer: 3. Android

Explanation: Ref: Williams Obstetrics 23 rd ed pg.480,Dutta Textbook of Obstetrics 5th ed pg346Explanation:DEEP TRANSVERSE ARRESTArrest in occipito transverse position may be due to incomplete anterior rotation of oblique occipito posterior positionCauses:Pelvic architecture abnormalityAndroid pelvisDeflexion of headWeak uterine contractions Laxity of pelvic floorManagement:1. Caesarean section if big baby or inadequate pelvis2. If pelvis adequate, ventouse delivery, manual rotation and forceps application, forceps rotation and deliveryKielland forceps for rotationSimpson and Mclane forceps for head delivery